All are true regarding management of suspected myocardial infarction in pregnancy except
1. Deliver immediately.
2. The patient should be started on Beta blocker.
3. Give daily low-dose aspirin to the patient.
4. Troponin levels acid in diagnosis of MI in pregnancy.

Correct answer: 1. Deliver immediately.

Explanation: Treatment of MI in pregnant patients is similar to that in non pregnant patients. Although maternal mortality rate with Myocardial infarction in pregnancy is more, there is no dictum to induce labor or deliver immediately unless other co-existing issues present.